Etomidate causes all except-
1. Coronary insufficiency
2. Decreased steroid
3. Decreases Intracranial tension
4. Nausea and vomiting

Correct answer: 1. Coronary insufficiency

Explanation: Ans. is 'a' i.e., Coronary insufficiency o Etomidate is most cardiostable inducing agent. It can cause nausea and vomiting, decreased adrenal steroids and decrease in ICI.